Lowe's syndrome is characterised by the following except-
1. Hypophosphatamic rickets
2. Undescended testes
3. Defect in the CNS and eyes
4. Aminoaciduria

Correct answer: 2. Undescended testes

Explanation: Ans. is 'b' i.e., Undescendended testes Lowe's syndrome It is also known as oculocerebrorenal syndrome of Lowe. o It is X-linked disorder. It is characterized by : i) Congenital cataract ii) Intellectual disability iii) Fanconi syndrome --> Aminoacidurina o The disease is caused by mutation in the OCRL1 gene, which encodes the phosphatidylinosital polyphosphate 5-phasphatase. Clinical features Progressive growth failure Hypotonia Fanconi syndrome Significant proteinuria Blindness Renal infufficiency Behavioural problems